Efficiency of pasteurization can be best assessed by?
1. Oxidase test
2. Phosphatase test
3. Catalase test
4. Indole test

Correct answer: 2. Phosphatase test

Explanation: Phosphatase test is widely used yo check the efficiency of pasteurizationREF.PARK'S TEXTBOOK OF PREVENTIVE AND SOCIAL MEDICINE.Editon-21.Page no.-606.